Double bubble sign seen in:
1. Duodenal atresia
2. Ileal atresia
3. Pyloric stenosis
4. Pancreatic divisum

Correct answer: 1. Duodenal atresia

Explanation: A i.e. Duodenal atresia